Which of these drugs DO NOT decrease angiotensin II activity:
1. Enalapril
2. Valsartan
3. Nesiritide
4. Omapatrilat

Correct answer: 3. Nesiritide

Explanation: ACE inhibitors and ATi antagonists decrease angiotensin II activity.
Omapatrilat is a vasopeptidase inhibitor that acts by inhibiting two enzymes, ACE and NEP. As it inhibits ACE, it may also decrease angiotensin II activity.
Nesiritide is a recombinant BNP and has no effect on angiotensin II activity.